Which is the best way to prevent the spread of Polio during an epidemic?
1. OPV to all children
2. Isolation of the infected
3. Giving IPV to children
4. None of the above

Correct answer: 1. OPV to all children

Explanation: Administration of OPV to all children is the best way to control polio epidemics. Other advantages of OPV are ease of administration, induction of humoral and intestinal immunity, quick production of antibodies in large proportion of vaccinees, it is inexpensive and excretion of virus by the vaccinee which inturn infects others and immunize them.